Precocious menstruation denotes the occurence of menstruation before the age of
1. 8 years
2. 7 years
3. 10 years
4. 11 years

Correct answer: 3. 10 years

Explanation: Precocious menstruation denotes the occurence of menstruation before the age of 10 years. Precocious menstruation is one of the menstrual cycle irregularities. Precocious puberty in a girl is the appearance of any of the secondary sexual characteristics before the age of 8 years or the occurence of menarche before the age of 10 years. Precocious puberty in boys is the onset of secondary sexual characterstics before the age of nine years. Ref: Shaw's textbook of Gynaecology 17th edition Pgno: 122